The nucleus ambiguus is shared by all of the following cranial nerves except
1. IX
2. X
3. XI
4. XII

Correct answer: 4. XII